Semi essential amino acids are
1. Tryptophan, Tyrosine
2. Histidine, Arginine
3. Leucine, Lysine
4. Phenylalanine, Valine

Correct answer: 2. Histidine, Arginine